Which of the following drug binds to albumin:
1. Steroids
2. Propranolol
3. Warfarin
4. Digoxin

Correct answer: 3. Warfarin

Explanation: Ans. C i.e. Warfarin Plasma protein binding A drug's efficiency may be affected by the degree to which it binds to the proteins within blood plasma. The less bound a drug is, the more efficiently it can traverse cell membranes or diffuse. Common blood proteins that drugs bind to are human serum albumin, lipoprotein, glycoprotein, alpha, beta, and gamma globulins. Since albumin is alkalotic, acidic and neutral drugs will primarily bind to albumin. If albumin becomes saturated, then these drugs will bind to lipoprotein. Basic drugs will bind to the acidic alpha-1 acid glycoprotein. This is significant because various medical conditions may affect the levels of albumin, alpha-1 acid glycoprotein, and lipoproteins.